Mutton fat keratic precipitates are not seen in -
1. Tuberculosis
2. Fuch's heterochromia cyclitis
3. Sarcoidosis
4. None

Correct answer: 2. Fuch's heterochromia cyclitis

Explanation: Mutton fat keratic precipitates are seen in granulomatous iridocyclitis (eg:Tuberculosis, Sarcoidosis) Fuch's heterochromia cyclitis is not seen in non-granulomatous iridocyclitis.